Molar pregnancy can be best diagnosed by:
1. Clinical history and examination
2. Ultrasound study
3. Laproscopy
4. CT Scan

Correct answer: 2. Ultrasound study

Explanation: Ans. b (Ultrasound study) (Ref: Grainger, Diagnostic Radiology, 4th/pg.2213 & Rumac, Diagnostic Ultrasound, 2nd/ pg.1359)MOLAR PREGNANCY# Molar pregnancy includes:- complete and- partial molar pregnancy.# The greatest diagnostic accuracy is obtained from the characteristic ultrasonographic appearance of hydatidiform mole# The classic USG features of complete molar pregnancy are well known and include enlarged uterus containing echogenic tissue that expands endometrial canal ('snowstorm' appearance).# The USG feature of partial molar pregnancy overlap with other conditions (missed or incomplete abortion).# Gestational trophoblastic disease includes the tumor spectrum of H. mole, invasive mole and choriocarcinoma.# Although USG is used for initial diagnosis of GTD & to exclude normal pregnancy finding are nonspecific.Educational Point:Follow-Up Evaluation of Molar PregnancyClose and consistent follow-up for these women is imperative with the following aims:1. Prevent pregnancy for a minimum of 6 months using hormonal contraception.2. Monitor serum hCG levels every 2 weeks. Serial measurement of serum hCG is important to detect trophoblastic neoplasia, and even small amounts of trophoblastic tissue can be detected by the assay. These levels should progressively fall to an undetectable level.3. Chemotherapy is not indicated as long as these serum levels continue to regress.4. Once the hCG level falls to a normal level, test the patient monthly for 6 months; then follow-up is discontinued and pregnancy allowed.